Which one of the following lesions of vocal cord is dangerous to life:
1. Bilateral adductor paralysis
2. Bilateral abductor paralysis
3. Combined paralysis of left side superior and recurrent laryngeal nerve
4. Superior laryngeal nerve paralysis

Correct answer: 2. Bilateral abductor paralysis

Explanation: (b) Bilateral abductor paralysis(Ref. Current Diagnosis & Treatment Otolaryngology, Lalwani, 3rd ed., 478; Scott Brown, 8th ed., Vol 2; 336)In bilateral abductor paralysis or B/L RLN palsy presentation is stridor because of which it is also known as life threatening palsy.In bilateral adductor paralysis, i.e. B/L complete paralysis, there will be aspiration bronchopneumonias but the presentation will not be acute life threatening in comparison to stridor in B/L RLN palsy.The remaining two options are not life threatening